Shenton's Line is present in-
1. knee
2. Shoulder
3. Elow
4. Hip

Correct answer: 4. Hip

Explanation: *Shenton's line is an imaginary line drawn along the inferior border of the superior pubic ramus and along the infero- medial border of the neck of femur. REF:Ref: Maheshwari J.Essential Orthopaedics 6th/e p.222